A 50-year-old male, Ram Lal is suffering from renal failure, underwent kidney transplantation. He was prescribed a nucleotide derivative following the organ transplantation. what is that drug?
1. Azathioprine
2. 5-Fluororacil
3. Cytarabine
4. Allopurinol

Correct answer: 1. Azathioprine

Explanation: Anti proliferative drugs (Cytotoxic immunosuppressants) -Certain cytotoxic drugs used in cancer chemotherapy exhibit prominent immunosuppressant action, mainly by preventing the clonal expansion of T and B lymphocytes (see Fig. 63.1). Azathioprine - It is a purine antimetabolite which has more marked immunosuppressant than antitumor action. The basis for this difference is not clear but may be due to its selective uptake into immune cells and intracellular conversion to the active metabolite 6-mercaptopurine, which then undergoes further transformations to inhibit de novo purine synthesis and damage to DNA It selectively affects differentiation and function of T cells and inhibits cytolylic lymphocytes; cell-mediated immunity is primarily depressed. The most important application of azathioprine is the prevention of renal and other graft rejection, but it is less effective than cyclosporine; generally combined with it or used in patients developing cyclosporine toxicity. It has also been used in progressive rheumatoid arthritis , and other autoimmune diseases. ESSENTIALS of MEDICAL PHARMACOLOGY SIXTH EDITION -K. D TRIPATHI Page:844